The common cause of subarachnoid hemorrhage is-
1. Arterio-venous malformation
2. Cavernous angioma
3. Aneurysm
4. Hypertension

Correct answer: 3. Aneurysm